Mixed tumors of the salivary glands are:
1. Most common in submandibular gland
2. Usually malignant
3. Most common in parotid gland
4. Associated with calculi

Correct answer: 3. Most common in parotid gland

Explanation: Mixed tumors of salivary glands are pleomorphic adenomas (as they have both epithelial and mesenchymal elements) M/C site for all salivary gland tumors is parotid gland except for: Adenoid cystic carcinoma = M/C site is minor salivary gland. Squamous cell carcinoma = M/C site is submandibular gland.